This classical "Ice-cream cone" appearance of this intensely enhancing lesion at the right CP angle recess suggests:
1. Epidermoid cyst
2. Arachnoid cyst
3. Acoustic schwannoma
4. High grade glioma

Correct answer: 3. Acoustic schwannoma

Explanation: Ans. C Acoustic schwannomaLarge chunk of tumour in the CP angle recess is the ice-cream whereas extension into internal auditory canal forms the cone. Bilateral Acoustic schwannomas suggest - Neurofibromatosis type 2 - MISME syndrome - Multiple Inherited Schwannoma, Meningioma and Ependymoma. The various CP angle masses are schwannoma, epidermoid, dermoid, meningioma.